Which of the following fungus is exclusively seen in Reticuloendothelial cells -
1. Cryptococcus
2. Candida
3. Aspergillus
4. Histoplasma

Correct answer: 4. Histoplasma

Explanation: Ans. is 'd' i.e., Histoplasma * Histoplasma capsulatum is a dimorphic fungus.* It is noncapsulated (Only medically important capsulatedfungus is cryptococcus).* Infectious form is microconidia (small spores) and mode of transmmission is inhalation of dust contaminated with bird or bat dropping.* It causes intracellular infection of reticuloendothelial system.* Most of the infections are asymptomatic.* Histaplama capsulatum causes Histoplasmosis also called as Darling's disease or Cave's disease or Caver's disease. Which many manifests as :-i) Acute pulmonary histoplasmosis : Pneumonitis, hilar adenopathy with erythema nodosum and erythema multiforme.Caseation necrosis and calcification may mimic tuberculosis.ii) Chronic pulmonary histoplasmosis : Fibronodular apical infiltrates.iii) Disseminated infection : Fever, emaciation, lymphadenopathy, hepatosplenomegaly, endocarditis, meningitis.iv) Presumed ocular histoplasmosis syndrome (POHS).